Albers-Schonberg's disease is
1. Osteomyelitis
2. Osteopetrosis
3. condensing osteitis
4. OsteomaLacia

Correct answer: 2. Osteopetrosis